The usual incubation period of pertusis is ?
1. 7-14 days
2. 3-5 days
3. 21-25 days
4. Less than 3 days

Correct answer: 1. 7-14 days

Explanation: Ans. is 'a' i.e., 7-14 days Whooping cough (pertussis) After an incubation period of about 1-2 weeks, the disease takes a protracted course comprising three stages-- the catarrhal, paroxysmal and convalescent - each lasting approximately two weeks.